Most common site for the initiation of otosclerosis is -
1. Foot plate of stapes
2. Margins of stapes
3. Fissula ante fenestram
4. Fissula post fenestram

Correct answer: 3. Fissula ante fenestram

Explanation: Most common type of otosclerosis – Stapedial otosclerosis
Most common site of otosclerosis – Fissula ante fenestram (i.e. just in front of oval window)
Most common site for stapedial otosclerosis – Fissula ante fenestram (i.e. just in front of oval window)
Most common site for cochlear otosclerosis – Round window

Ref. Dhingra 5/e, p 97-98, 6/e, p 86-87